A 24 year old unmarried woman has multiple nodular, cystic, pustular and comadonic lesions on face, upper back and shoulders for 2 years. The drug of choice for her treatment would be –
1. Acitretin
2. Isotretinoin
3. Doxycycline
4. Azithromycin

Correct answer: 2. Isotretinoin

Explanation: The DOC for nodulocystic acne is oral isotretinoin (13-Cis Retinoic acid)
Indications of isotretinoin →   Severe acne (>25 lesions), Nodulocystic lesions, Large nodular lesions, Moderate acne not responding to oral antibiotics (Recalcitrant acne).